All of the following are seen in Thymoma expect
1. Hyppogamma globinemia
2. Hyper albunemia
3. Red cell aplsia
4. Myasthenia gravis

Correct answer: 2. Hyper albunemia

Explanation: Refer Robbins page no 627 In addition to Myasthenina gravis other assosciated autoimmune disorder with Thymoma include Hyppogammaglobulinenia pure red Cell aplasia ,Graves disease, pernicious anemia, dermatomyosistis -polymyositis and Cushing syndrome